Gonococci has affinity for :
1. Columnar epithelium
2. Glandular epithelium
3. Stratified sqamous epithelium
4. Squamous epithelium

Correct answer: 1. Columnar epithelium

Explanation: Columnar epithelium